A malignant tumor of childhood, that metastsizes to bones most often, is
1. Wilm's tumor
2. Neuroblastoma
3. Adrenal gland tumors
4. Granulosa cell tumor of ovary

Correct answer: 2. Neuroblastoma

Explanation: In neuroblastoma,metastasis is present in 60-70% of children,usually to the skeleton(facial bones,skull),bone marrow,also to lymph nodes. Reference:Essential pediatrics-Ghai,8th edition,page no:617.